Defence mechanism in OCD -
1. Progression
2. Regression
3. Magical thinking
4. Reaction formation

Correct answer: 4. Reaction formation